Which diuretic could be considered appropriate for combining with ACE inhibitors
1. Spironolactone
2. Eplerenone
3. Hydrochlorothiazide
4. Amiloride

Correct answer: 3. Hydrochlorothiazide

Explanation: ACE inhibitors are contra-indicated in the presence of hyperkalemia.Aldosterone antagonists and epithelial sodium channel blockers are potassium sparing diuretics and should not be combined with ACE inhibitors. Thiazides on the other hand cause hypokalemia and can be combined with ACE inhibitors.